Circle of Hebra is involved in ?
1. Pediculosis corpora
2. Pityriasis versicolar
3. Scabies
4. Leprosy

Correct answer: 3. Scabies

Explanation: Ans. is 'c' i.e., Scabies Scabies Scabies in is caused by mites of the family Sarcoptidae, which includes Sarcoptes scabiei, the scabies mite. Usually affects children but can occur at any age. More common in low socioeconomic strata as overcrowding and poor hygiene facilitate the spread. The most imp mean of spread is direct contact with the infected individual. Scabies is water shed disease which occurs die to inadequate use of water and improper hygiene. Clinical features :? Severe itching is the most prominent clinical feature abd has following characterstics Worse at night Generelised Affecting several family members 2. Body areas most commonly involved are web spaces of fingers, wrists, elbow, axilla and groin area, areas known as circle of Hebra. 3. Burrow is serpentine (S. shaped), thread like grey brown line which represents the intraepidermal tunnel created by moving female mite in stratum corneum. Burrow is pathognomic sign of scabies. Burrows are very difficult to demonstrate in infants. 4. Paules and papulovesicular eruptions due to hypersensitivity to mite 5. Pustules can occur due to seceondary infection 6. Excoriation and scratch marks 7. History of involvement of family members